True statement about medial medullary syndrome?
1. 3rd nerve palsy
2. 6th nerve palsy
3. I/L 12 th nerve palsy
4. I/L hemiplegia

Correct answer: 3. I/L 12 th nerve palsy

Explanation: C.N. nuclei involved in medial medullary syndrome is Hypoglossal nuclei (XII) Features of Medial Medullary Syndrome resulting from occlusion of the anterior spinal artery. I/L 12th nerve palsy - Tongue muscle palsy. C/L Spastic paralysis (pyramidal tract involved) Dorsal coloumn medial lemniscal system involved so loss of position sense, vibration and fine touch sensation on C/L side.